APACHE-II score includes
1. Age
2. Blood pressure
3. Pa02
4. All

Correct answer: 4. All

Explanation: Acute Physiologic Assessment and Chronic Health Evaluation II (APACHE II) score generates a point score ranging from 0 to 71 based on 12 physiologic variables, age, and underlying health. The point score is calculated from a patient's age and 12 routine physiological measurements: AaDO2 or PaO2 (depending on FiO2) Temperature (rectal) Mean arterial pressure pH arterial Heart rate Respiratory rate Sodium (serum) Potassium (serum) Creatinine Hematocrit White blood cell count Glasgow Coma Scale Ref Harrison20th edition pg 2345